What constitutes malpighian layer?
1. Corneum lucidum
2. Corneum spinosum
3. Spinosum and basale
4. Basale granulosum

Correct answer: 3. Spinosum and basale

Explanation: The Malpighian layer of the skin is generally defined as both the stratum basale and stratum spinosum as a unit, although it is occasionally defined as the stratum basale specifically,or the stratum spinosum specifically. It is named after Marcello Malpighi REF : THOMAS HABIF 6TH ED